Which of the following injuries is likely to cause a severe vascular damage?
1. Closed posterior dislocation of knee
2. Elbow dislocation
3. Fracture middle l/3rd of clavicle
4. Tibial plateau fracture

Correct answer: 1. Closed posterior dislocation of knee

Explanation: knee can be dislocated only by considerable violence, as in a road accident. The cruciate ligaments and one or both lateral ligaments are torn. Clinical features Rupture of the joint capsule produces a leak of the haemarthrosis, leading to severe bruising and swelling. This may be the only clue on inspection, especially if the dislocated joint has reduced spontaneously. Otherwise, the diagnosis is straightforward as there is gross deformity . The circulation in the foot must be examined because the popliteal artery may be torn or obstructed. Repeated examination is necessary as compartment syndrome is also a risk. Common peroneal nerve injury occurs in nearly 20 per cent of cases; distal sensation and movement should be tested. REF:Apley's system of orthopaedics - 9th edn - pg no 884.